The most common infectious agent associated with chronic pyelonephritis is:
1. Proteus vulgaris
2. Klebsiella pneumonia
3. Staphylococcus aureus
4. Escherichia coli

Correct answer: 4. Escherichia coli

Explanation: . Escherichia coli